Epstein Barr virus causes all the following Except
1. Hodgkin's lymphoma
2. Kaposi's sarcoma
3. Nasopharyngeal carcinoma
4. Burkitt's lymphoma

Correct answer: 2. Kaposi's sarcoma

Explanation: Kaposi's sarcoma is associated with HIV. Epstein Barr virus is best known as the cause of infectious mononucleosis(glandular fever). It is also associated with particular forms of cancer, such as Hodgkin's lymphoma, Burkitt's lymphoma, nasopharyngeal carcinoma, and conditions associated with human immunodeficiency virus (HIV), such as hairy leukoplakia and central nervous system lymphomas. There is evidence that infection with the virus is associated with a higher risk of certain autoimmune diseases, especially dermatomyositis, systemic lupus erythematosus, rheumatoid arthritis, Sjogren's syndrome, and multiple sclerosis. Ref: Ananthanarayana textbook of Microbiology 9th edition Pgno : 474